Ball is used as an antidote poisoning by -
1. Morphine
2. Aconite
3. Phenol
4. Mercury

Correct answer: 4. Mercury

Explanation: British Anti-Lewisite (BAL) Synonyms: dimercaprol, dimercaptopropanol Features It is an oily, pungent smelling liquid, developed during Second World War by British as an antidote to the arsenic war gas lewisite. Mechanism of Action BAL has two SH (thiol) groups. The two SH group binds to those metals that produce toxicity by interacting with sulfhydryl containing enzymes in the body. BAL will combine with these metals forming BAL-metal complex thus dislodge the metal from acting site. Indications BAL is useful against metals that interfere with sulfhydryl enzymes in the body such as arsenic, mercury, bismuth, copper, antimony, and nickel. Contraindications BAL is contraindicated in iron and cadmium poisoning because BAL-iron and BAL-cadmium complex are toxic. Dose BAL is administered intramuscularly as 5 mg/kg stat followed by 2 to 3 mg/kg every 4 to 8 hours for two days and then once a day for 10 days. Adverse Effects * Tachycardia * Vomiting * Tingling and burning sensation * Cramps * Sweating REF:THE SYNOPSIS OF FORENSIC MEDICINE AND TOXICOLOGY:K S NARAYANA REDDY;PAGE NO 289